Cardiovascular manifestation are more dominant in:
1. Primary thyrotoxicosis
2. Secondary thyrotoxicosis
3. Simple goitre
4. All of the above

Correct answer: 2. Secondary thyrotoxicosis